Anterior compartment of leg contains all muscle except :
1. Peroneus brevis
2. Peroneus tertius
3. Extensor hallucis longus
4. Tibialis anterior

Correct answer: 1. Peroneus brevis

Explanation: A. i.e. Peroneus brevis